One primary oocyte forms how many ovum/ova
1. 1
2. 2
3. 3
4. 4

Correct answer: 1. 1

Explanation: Observe that whereas one primary spermatocyte gives rise to four spermatozoa, one primary oocyte forms only one ovumHuman embryology Inderbir Singh's Tenth edition Pg 23